In the mitogen activated protwin kinase pathway , the activation of RAS is counteracted by
1. Protein kinase C
2. GTPase activating protein
3. Phosphtidyl inositol
4. Inositol triphosphate

Correct answer: 2. GTPase activating protein

Explanation: Ref Robbins 9/e p286 Activated rasvis present in association with GTP. Enzyme GTPase will degrade GTP to GDO and results in inactivation of RAS. Thus ,GTPase activating protein will counteract the activation of ras